60 year old diabetic female presented with burning sensation to spicy food. Intraoral examination revealed multiple periodontal abscess and keratotic area in a lace pattern with occasional erosive areas inside the lace pattern.
Histological feature will be
1. Elongated rete ridges
2. Flattened rete ridges
3. Saw tooth rete ridges
4. Bulbous rete ridges

Correct answer: 3. Saw tooth rete ridges

Explanation: The histological features include hyperparakeratosis or hyperorthokeratosis,with thickening of granular layer, acanthosis with intracellular edema, saw tooth appearance of rete ridges, band like subepithelial mononuclear infiltrate, degenerating basal keratinocytes that form colloid known as Civatte, hyaline, cytoid bodies.